Rhomboids major is inserted on ?
1. Medial border of scapula
2. Lateral border of scapula
3. Inferior angle of scapula
4. Intertubercular groove of humerus

Correct answer: 1. Medial border of scapula

Explanation: Ans. is 'a' i.e., Medial border of scapula(Ref: Garg 4Uh/e p. 803, 810-812))Origin:Spinous processes of T2 to T5 vertebraeInsertionMedial border of the scapula, inferior to the insertion of rhomboid minor muscle.